Which of the following phrase adequately describes Pacinian corpuscles
1. A type of pain receptors
2. Slowly adapting touch receptors
3. Rapidly adapting touch receptors
4. Located in the joints

Correct answer: 3. Rapidly adapting touch receptors

Explanation: Touch receptors
-        For superficial touch- Meissner’s corpuscles & Merkel’s disc (Rapidly adapting)
-        For pressure (Deep touch)- Ruffini’s end organ (slowly adapting)
-        For vibrations- Pacinian corpuscle (rapidly adapting)